Surface on which crack 1st appear in connector made up of ceramic:
1. Occlusal surface
2. Gingival surface.
3. Proximal surface.
4. Buccal surface.

Correct answer: 2. Gingival surface.